Which is the most common clinical feature of Cushing syndrome?
1. Moon facies
2. Purplish skin striae
3. Hypokalemic alkalosis
4. Weight gain

Correct answer: 4. Weight gain

Explanation: The most common presentation of Cushing syndrome is Obesity or Weight gain. Clinical features Frequency Weight gain 80% Moon facies 75% Purplish skin striae 65% Hypokalemic alkalosis 15%